Thermophillic actinomycesis is associated with?
1. Bagassosis
2. Byssinosis
3. Silicosis
4. Pneumoconiosis

Correct answer: 1. Bagassosis

Explanation: ANSWER: (A) BagassosisREF: Park 20th ed p.211Bagassosis, an interstitial lung disease, is a type of hypersensitivity pneumonitis attributed to exposure to moldy molasses (bagasse) which is associated the sugarcane fibers and is seen in workers associated with card-board manufacturing units.Bagassosis has been shown to be due to a thermophilic actinomycetes for which the name thermoactinomycetes sacchari was suggestedBagasse control- keep moisture content above 20% and spray bagasse with 2% propionic acid